Bad prognosis in AML is indicated by -
1. Monosomy
2. Deletion of X or Y chromosome
3. T(8:21)
4. Nucleophosmin mutation

Correct answer: 1. Monosomy